Delayed dentition with multiple supernumerary teeth is seen in
1. Hypoparathyroidism
2. Cleidocranial dysplasia
3. Pierre Robin Syndrome
4. Mongolism (Down's Syndrome)

Correct answer: 2. Cleidocranial dysplasia